Which of the following produces the least damage to blood elements –
1. Disc oxygenator
2. Membrane oxygenator
3. Bubble oxygenator
4. Screen oxygenator

Correct answer: 2. Membrane oxygenator

Explanation: Hematological advantages of membrane oxygenater over bubble oxyenators :- Less trauma to RBCs, platelets & WBCs and less protein denaturation.